A 40 year old woman is being evaluated. She is noted to have a decreased latency of REM. Which disorder is this woman most likely to be suffering from?
1. Schizophrenia
2. Major depression
3. PTSD
4. Obsessive-compulsive disorder

Correct answer: 2. Major depression

Explanation: Ans. B. Major depressionA decreased latency of REM sleep is seen in major depression. Depression is the psychiatric disorder that has been most associated with disruptions in biological rhythms. Besides the decreased latency of REM sleep, one can find early morning awakening and other neuroendocrine perturbations.